The rate of cooling down of dead bodies in tropical climate is:
1. 0.2degc/hours
2. 0.5degc/hours
3. 1.0degc/hours
4. 1.5degc/hours

Correct answer: 2. 0.5degc/hours

Explanation: B i.e. 0.5degC/hour